Gilchrist disease is:
1. North American Blastomycosis
2. South American Blastomycosis
3. Australian Blastomycosis
4. None

Correct answer: 1. North American Blastomycosis

Explanation: North American Blastomycosis: Gilchrist’s disease.
NORTH AMERICAN BLASTOMYCOSIS
(Gilchrist Disease) 
North American blastomycosis is a mycotic infection caused by Blastomyces dermatitidis and may occur either in a cutaneous form or in a systemic form involving bones, liver, lungs, subcutaneous tissues and other organs.
Reference: Shafer’s Textbook of ORAL PATHOLOGY Eighth Edition page no 351,352